Indirect retainers are most effective when:
1. They rest bilaterally on cingulum of canines
2. Rest on mesial surface of premolars with extensions on to canines
3. They rest on incisal edges of canines
4. Rest on incisal edges of lateral incisors with extensions on to central incisiors

Correct answer: 2. Rest on mesial surface of premolars with extensions on to canines